Central gram negative core supporting outer coccal cells is called:
1. Bristle brush arrangement
2. Corncob arrangement
3. Bottle brush arrangement
4. Hourglass arrangement

Correct answer: 2. Corncob arrangement